Which of the following is not the function of smooth endoplasmic reticulum?
1. Lipid synthesis
2. Protein synthesis
3. Metabolism of drugs
4. Supply of calcium for cellular functions

Correct answer: 2. Protein synthesis